Local anaesthetics act by inhibiting -
1. Influx of K+
2. Efflux of K+
3. Influx of Na+
4. Efflux of Na+

Correct answer: 3. Influx of Na+

Explanation: Ans. is 'c' i.e., Influx of Na+ The LAs block nerve conduction by decreasing the entry (influx) of Na+ ions during upstroke of action potential.